Antidepressant drug that can be used in nocturnal enuresis is?
1. Imipramine
2. Fluvoxamine
3. Phenelzine
4. Bupropion

Correct answer: 1. Imipramine

Explanation: Ans. (A) Imipramine(Ref: CMDT 2010/966)Imipramine is efficacious however, Desmopressin is the first choice drug for nocturnal enuresis.